The role of Tamoxifen in the reduction of breast cancer is
1. Competes with estrogen receptor in breast
2. Decreases blood supply to tumour
3. Directly acting anticancer drug
4. Augments radiation therapy

Correct answer: 1. Competes with estrogen receptor in breast

Explanation: (A) Competes with estrogen receptor in breast # Tamoxifen is a hormone treatment developed over twenty years ago. It lowers the risk of breast cancer coming back (recurring) or developing in the other breast.> Tamoxifen prevents oestrogen from going into breast cancer cells> Oestrogen can stimulate breast cancer cells to divide and grow.> The oestrogen receptor is a part of the cell that oestrogen can lock into and encourage the cell to multiply to make more breast cancer cells.> Tamoxifen locks into the oestrogen receptor and stops the oestrogen from getting to the cell. Progesterone receptors are similar 'locks' on the cell surface for progesterone, the other female sex hormone.> Breast cancers are divided into oestrogen receptor and progesterone receptor positive and Tamoxifen is given to oestrogen receptor positive patients